As compared to a routine case control study, nested case control study avoids problems (in study design) related to -
1. Temporal association
2. Confounding bias
3. Need for long follow up
4. Randomization

Correct answer: 1. Temporal association

Explanation: A nested case-control (NCC) study is a variation of a case-control study in which cases and controls are drawn from the population in a fully enumerated cohort. Usually, the exposure of interest is only measured among the cases and the selected controls. Thus the nested case-control study is more efficient than the full cohort design.